A 55-year-old female presents with Levine sign, hiccups, and vomiting episodes. On examination HR=50/min with BP =100/60 mm Hg with elevated JVP. ECG technician is yet to arrive. Which coronary artery is likely to be involved?
1. RCA
2. LAD
3. LCX
4. Left main coronary artery

Correct answer: 1. RCA

Explanation: The RCA supplies the circulation to most of the inferior myocardium. Proximal end in 60% of patients supplies the SA Node Distal end in 90% patients supplies the AV node. Thus occlusion of RCA -Bradycardia, hypotension The damaged RV irritates the diaphragm and leads to hiccoughs.